Which of the following is true abut Simple Random Sampling?
1. Less number of samples is collected
2. Every person has an equal chance of selection
3. Groups are not equally distributed
4. Also known as Systematic randomization

Correct answer: 2. Every person has an equal chance of selection

Explanation: Simple random sampling:- Every unit of population has equal chance of being selected. Applicable for small, homogenous and readily available populations. Methods of simple random sampling:- 1) Lottery method 2) Random number tables 3) Computer software 4) Currency notes method.